Features of mycotic aneurysm are all except
1. Bacterial endocarditis is common etiology
2. Commonly it is fusiform aneurysm
3. Aorta and visceral vessels affected commonly
4. Multilobed aneurysm with narrow neck

Correct answer: 2. Commonly it is fusiform aneurysm

Explanation: Mycotic aneursm is commonly saccular.